Trisomy 21 is associated with:
1. ALL
2. AML
3. Both of the above
4. None of the above

Correct answer: 3. Both of the above

Explanation: Ans. C: Both of the aboveChildren with trisomy 21 have a 10-20 fold increased risk of developing acute leukemia.Both AML and ALL can occur.AML, most commonly, is acute megakaryoblastic leukemia.